A para II poorly compensated cardiac patient has delivered 2 days back. You will advice her to :
1. Undergo sterilization (tubectomy) after 1 week
2. Undergo sterilization after 6 weeks
3. Suggest her husband to undergo vasectomy
4. Take oral contraceptive pills after 6 months

Correct answer: 3. Suggest her husband to undergo vasectomy

Explanation: Suggest her husband to undergo vasectomy